The most common cause of small intestinal obstruction is -
1. Intussusception
2. Iatrogenic adhesions
3. Trauma
4. Carcinoma

Correct answer: 2. Iatrogenic adhesions

Explanation: Ans is 'b' i.e., Iatrogenic adhesions Adhesions secondary to previous surgery are by for the most common cause for small bowel obstruction. Adhesions particularly after pelvic surgery are responsible for more than 60% of causes of small bowel obstructions - Sabiston Causes of small bowel obstruction in order of frequency :(Sabiston) Adhesions (-60%) Commonest Malignant tumors (20%) Second most common cause. Most commonly, these tumors are metastatic lesions Hernias (-10%) Crohn's disease (-5%)